A teenager is having diarrhea, rhinorrhea and sweating, most probable diagnosis is:
1. Cocaine withdrawal
2. Heroin withdrawal
3. Marijuana withdrawal
4. LSD withdrawal

Correct answer: 2. Heroin withdrawal

Explanation: Ans. Heroin withdrawal